Which of the following enzymes does not take part in TCA cycle?
1. Citrate synthase
2. Iso citrate dehydrogenase
3. Pyruvate dehydrogenase
4. Malate dehydrogenase

Correct answer: 3. Pyruvate dehydrogenase

Explanation: Enzymes involved in TCA cycle are : Citrate synthase forms citrate Aconitase Iso citrate dehydrogenase Alpha KG dehydrogenase Succinyl co A synthase Succinate dehydrogenase Fumerase Malate drhydrogenase Ref: Biochemistry by U. Satyanarayana 3rd edition Pgno : 254